The most accepted theory for dentin sensitivity is
or
Which of the following is the most accepted thoery
of transmission of dental sensation
1. Transduction theory
2. Direct neural stimulation
3. Hydrodynamic theory
4. Hydrostatic theory

Correct answer: 3. Hydrodynamic theory